Most specific investigation in disseminated intravascular coagulation is -
1. D - dimer assay
2. Bleeding time
3. Clotting time
4. Fibrinegen level

Correct answer: 1. D - dimer assay